Dysthyroid ophthalmopathy ,all are true except
1. Proptosis
2. Myopathy
3. Exophthalmous
4. Optic neuritis

Correct answer: 4. Optic neuritis

Explanation: Optic nerve involvement in thyroid disease is compression optic neuropathy and not optic neuritis Refer khurana 6/e